At Primary Health Centre (PHC) level, vaccines arestored in the -
1. Cold box
2. Deep freezer
3. Ice lined refrigerator
4. Walk in cold room

Correct answer: 3. Ice lined refrigerator

Explanation: Ans. is 'c' i.e., Ice lined refirgerator o At the PHC level, all vaccines are kept in the small ILR (Ice-lined regrigerators)for a period of 1 month at temperature of +2degC to + 8degC. o At the PHC small DF (deep freezer) is also used, but small ILR is the main storage equipment.